False about RANK - Ligand is :
1. It is secreted from osteoblasts
2. Acts on RANK receptor present on osteoclasts
3. Denosumab is the monoclonal antibody that inhibits RANK - ligand
4. RANK-L inhibits osteoclasts and inhibits osteoporosis

Correct answer: 4. RANK-L inhibits osteoclasts and inhibits osteoporosis

Explanation: RANK - L acts on RANK - receptors presents on osteoclasts and activates them and stimulates bone resorption. Denosumab inhibits RANK - Ligand and prevent bone resorption.